Taste fibres from anterior two third of tongue is carried by:
1. Trigeminal nerve
2. Facial nerve
3. Hypoglossal nerve
4. Glossopharyngeal nerve

Correct answer: 2. Facial nerve

Explanation: Sensory innervation of tongue: General sensation of the anterior two third of tongue is supplied by the lingual nerve and the taste senastions runs in the chorda tympani branch of facial nerve. While the glossopharyngeal nerve carries the general sensation and the taste fibres of the posterior third of tongue including the vallate papillae.Ref: Snell's, Clinical Anatomy, 7th Edition, Page 847.